A 45 years old lady present with a lump in her right breast. The lump is 4 cms in diameter with evidence of cutaneous oedema (peau d' orange), not fixed to pectoralis major muscle. The axillary lymph nodes are not enlarged. What is the status of T in T.N.M. classifcation.
1. T
1
>2
2. T
2
 is 2-5
3. T
3
 > 5
4. T
4
 is any size

Correct answer: 4. T
4
 is any size